Most sensitive indicator of recent transmission of malaria in a community is:-
1. Infant parasite rate
2. Annual parasite rate
3. Spleen rate
4. Mosquito rate

Correct answer: 1. Infant parasite rate

Explanation: Ans. is 'a' i.e. Infant Parasite Rate This is important and often repeated.Most sensitive index of recent transmission of malaria in a locality is - infant parasite rateMost Sensitive index for measuring the endemicity of malaria in a community - spleen rate